Cytokines are secreted in sepsis and Systemic inflammatory Response syndrome (SIRS) by
1. Neutrophils
2. Adrenal
3. Platelets
4. Collecting duct

Correct answer: 1. Neutrophils

Explanation: Ans. is 'a' i.e., Neutrophils Cytokine release in Sepsis o Mechanism by which endotoxin causes activation of inflammatory cells and release of cytoine has already been explained earlier. o It is by TLR-4 and CD-14 mediated. Signals from TLR-4 can directly activate vascular endotheliun and leukocytes to release cytokine mediators. o The major cells that secret cytokines in sepsis area 1. Monocyte/Macrophages 2. Neutrophils 3. Endothelial cells o Cytokine mediators involved are :? 1. TNF - (The most important cytokine in sepsis) 2. IL-1 3. IL-6 4. IL-8 5. NO.